Cytoprotectant among the following is
1. Minocycline
2. Oxytetracycline
3. Amifostine
4. Doxycycline

Correct answer: 3. Amifostine

Explanation: Amifostine:It is used as a cytoprotectant(Radioprotectant) in anticancer chemotherapy.Ref: Sharma and Sharma 3rd ed/pg 877